Commonest sign of aspiration pneumonitis is
1. Cyanosis
2. Tachypnea
3. Crepitations
4. Rhonchi

Correct answer: 2. Tachypnea

Explanation: The patient becomes tachypneic, hypoxic, and febrile. The leukocyte count may rise, and the chest x-ray may evolve from normal to a complete bilateral "whiteout" within 8-24 h. Sputum pro-duction is minimal. The pulmonary signs and symptoms can resolve quickly with symptom-based therapy or can culminate in respiratory failure, with the subsequent development of bacterial superinfection over a period of days. Aspiration of gastric acid causes a chemical pneumonitis which has also been .Findings on physical examination may include tachypnea. Ref Davidson edition23rd pg 589